All of the following are true about Berry aneurysm except:
1. Most common type of intracranial aneurysm
2. Most common site is anterior communicating aery-anterior cerebral junction
3. Rupture of aneurysm usually occurs at the apex or dome
4. Surgical clipping is preferred over endovascular coil occlusion

Correct answer: 4. Surgical clipping is preferred over endovascular coil occlusion

Explanation: Berry aneurysm Most common type of intracranial aneurysm Most common site is anterior communicating aery-anterior cerebral junction in Circle of Willis Rupture of aneurysm usually occurs at the apex or dome Endovascular coil occlusion is preferred over Surgical clipping